A drug 'X' is more selective for the col subtype of BZD receptors. It has hypnotic action but absent or little antianxiety, muscle relaxant and anticonvulsant actions. Which of the following can be 'X':
1. Zopiclone
2. Zolpidem
3. Flumazenil
4. Melatonin

Correct answer: 2. Zolpidem